Which of the following is not recommended in the treatment of chronic low back pain -
1. NSAIDs
2. Bed rest for 3 months
3. Exercises
4. Epidural steroid injection

Correct answer: 2. Bed rest for 3 months

Explanation: LOW BACK PAIN Also known as lumbago (at times referred to as waist pain) is pain (as name implies) in the lower back (lumbar) region. Typically, the commonest area of back pain is the low back (lumbar region) and sometimes it spreads to the buttocks or thighs. LBP may radiate into * groin * buttocks * upper thigh (posteriorly) areas that share an interconnecting nerve supply Source of somatic referred pain is a skeletal or myofascial structure of the lumbar spine Source of referred pain is within a body organ * ovarian cysts may refer pain to low back * cancer of head of pancreas can present as low back pain becoming excruciating at night Pharmacotherapy Options* Antidepressants Anticonvulsants 'Muscle relaxants Opioid analgesics Corticosteroids NSAIDs Topical analgesics REF : maheswari 9th ed